Following are the characteristics of vincent’s angina, except:
1. Ulcerative gingivostomatitis
2. Caused due to malnutrition
3. A symbiotic infection
4. Caused by Leptospira interrogans

Correct answer: 4. Caused by Leptospira interrogans